A primigravida 32-year-old female is admitted to the antenatal ward at 35 weeks is found to BP of 160/110. Her urine does not contain albumin. Which of the following drugs should not be used in her management?
1. Frusemide
2. Hydralazine
3. Labetalol
4. Methyldopa

Correct answer: 1. Frusemide

Explanation: Ans. is a, i.e. FrusemideIn a PIH patient, furosemide is contraindicated as an anti-hypertensive because in PIH, the intravascular volume is low, giving a diuretic would further decrease it, which reduce placental perfusion.Remember: Diuretics are not contraindicated in pregnancy.In a pregnant female with CHF, diuretics are used, then it is not contraindicated. Also diuretics can be used if there is pulmonary edema.